Which of the following does not indicate megaloblastic anemia -
1. Increased reticulocyte count
2. Raised bilirubin
3. Mild spenomegaly
4. Nucleated RBC

Correct answer: 1. Increased reticulocyte count

Explanation: . Increased reticulocyte count